In Cu T-200, the number denotes
1. Surface area
2. Weight in microgram
3. Weight in miligram
4. Effective half life in week

Correct answer: 1. Surface area

Explanation: In Cu T 200, the number included in the name of the device refer to the surface area in sq.mm of the copper on the device Reference : Park's textbook of preventive and social medicine,23rd edition, Page no: 496